Which of the following skull fractures is called a Motorcyclist's fracture -
1. Ring fracture of base of skull
2. Hinge fracture of base of skull
3. Comminuted fracture of skull
4. Depressed fracture of skull

Correct answer: 2. Hinge fracture of base of skull

Explanation: A transverse fracture across the floor of the skull, usually called a "hinge fracture", is sometimes referred to as motorcyclist fracture. At autopsy, the base of the skull may be appreciated to have divided into two halves, each moving independently of each other like a hinge, the so-called motorcyclist fracture.